Which one of the following drugs inhibits bacterial protein synthesis, preventing the translocation step via its interaction with the 50S ribosomal subunit?
1. Clindamycin
2. Gentamicin
3. Chloramphenicol
4. Imipenem

Correct answer: 1. Clindamycin

Explanation: Clindamycin has a mechanism of action similar to, if not identical with, erythromycin and related macrolides. They bind to rRNA bases on the 50S subunit to prevent translocation of peptidyl-mRNA from the acceptor to the donor site. Chloramphenicol also binds to the 50S subunit but interferes with the activity of peptidyltransferase. Gentamicin and tetracyclines bind to the 30S ribosomal subunit. Imipenem is a cell-wall synthesis inhibitor, acting similarly to beta-lactams.